What is the most common presentation of sick euthyoid state?
1. Low T3 with normal T4
2. Low T3 with low T4
3. Low T3 with high T4
4. High T3 with high T4

Correct answer: 1. Low T3 with normal T4

Explanation: The most common hormone pattern in sick Euthyroid syndrome is a decrease in total and free T3 levels (low T3 syndrome) with normal levels of T4 and TSH. The magnitude of the fall in T3 correlates with the severity of the illness. T4 conversion to T3 peripheral deiodination is impaired, leading to increased reverse T3 (rT3). It is generally assumed that this low T3 state is adaptive, because it can be induced in normal individuals by fasting.